Endophthalmitis involves inflammation of all of the following, Except -
1. Sclera
2. Uvea
3. Retina
4. Vitreous

Correct answer: 1. Sclera

Explanation: Endophthalmitis is defined as an inflammation of the inner structures of the eyeball,ie., uveal tissue and retina assosiated with pouring of exudates in the vitreous cavity, anterior chamber and posterior chamber. Ref:A K Khurana 6th edition pg:170